Vasanti, 28-year-old, presents with complaints of tightness of fingers. There is also history of dysphagia. Which of the following is the probable diagnosis -
1. Dermatomyositis
2. Scleroderma
3. Rheumatoid arthritis
4. Polyarteritis nodosa

Correct answer: 2. Scleroderma